Lymphatic drainage of glans penis is by
1. Superficial inguinal lymph nodes
2. Deep inguinal lymph nodes
3. Internal iliac lymph nodes
4. Preaortic nodes

Correct answer: 2. Deep inguinal lymph nodes

Explanation: Lymphatic drainage of glans penis is deep inguinal lymph nodes. Superficial inguinal lymph nodes- scrotum, perineum, vulva and anus Lymphatic drainage of testis is pre and para aortic lymph nodes.